The following bacteria are most often associated with acute neonatal meningitis except –
1. Escherichia coli
2. Streptococcus agalactiae
3. Neisseria meningitidis
4. Listeria monocytogenes

Correct answer: 3. Neisseria meningitidis